Hepatitis A vaccine available ?
1. Live attenuated
2. Killed (Inactivated)
3. Both live and inactivated
4. Subunit vaccine

Correct answer: 3. Both live and inactivated

Explanation: Ans. is 'c' i.e., Both live and inactivated Two types of hepatitis A vaccines are used :- Formaldehyde inactivated vaccine Live attenuated vaccine